The uterine artery is a branch of which of the following?
1. Left common iliac artery
2. Internal iliac artery
3. Internal pudendal artery
4. Ovarian artery

Correct answer: 2. Internal iliac artery

Explanation: Uterine arteries arise from internal iliac artery or hypogastric artery. It runs downwards and forwards along the lateral pelvic wall until the base of the broad ligament. Ref: Gray's anatomy text book of anatomy